Delusion in which the person beliefs the he is suffering from some serious illness is
1. Nihilistic delusion
2. Delusion of persecution
3. Cotards delusion
4. Hypochondriacal delusion

Correct answer: 4. Hypochondriacal delusion

Explanation: Hypochondriacal delusion In this type of delusion, the person believes that he is suffering from some serious illness like cancer, in fact he is not. This type of delusion may be seen in the stage of depression in bipolar disorder. Ref: FORENSIC MEDICINE AND TOXICOLOGY Dr PC IGNATIUS THIRD EDITION PAGE 359